All are caused by common vectors, except
1. Dengue fever
2. Yellow fever
3. KED
4. Japanese encephalitis

Correct answer: 3. KED

Explanation: Ans. is 'c' i.e., KFD o KFD is transmitted by hard tick where as all else are transmitted by mosquitoes.